Auer rods are seen in:
1. Acute myeloid leukemia.
2. Chronic myeloid leukemia.
3. Iron deficiency anaemia
4. Hodgkin’s disease.

Correct answer: 1. Acute myeloid leukemia.

Explanation: Some of the commonly employed cytochemical stains, as an aid to classify the type of acute leukemia, are-

Myeloperoxidase: positive in immature myeloid cells containing granules and Auer rods but negative in M0 myeloblasts.
Sudan black: Positive in immature cells in AML.
Periodic acid Schiff (PAS): Positive in immature lymphoid cells and in erythroleukemia (M6).
Non-specific esterase (NSE): Positive in monocytic series (M4 and M5).
Acid phosphatase: Focal positivity in leukemic blasts in ALL and diffuse reaction in monocytic cells (M4 and M5).